Stereotactic radiosurgery is a form of
1. Radiotherapy
2. Cryosurgery
3. Neurosurgery intervention
4. Embolisation and radiofrequency ablation

Correct answer: 1. Radiotherapy

Explanation: Stereotactic radiosurgery means delivery of precise high dose radiation in a single fraction to intracranial targetsReference: Eric J Hall Textbook of Radiobiology for Radiologist; 5th edition